A 50-year-old male presented with a characteristic lesion on the face for 5 years which is slowly increasing in size and bleeds whenever it is scratched. Patient has a history of chronic sun exposure. There is no evidence of pain or itching over the lesion Biopsy from the lesion. Which of the following drugs are approved for the above condition: - 1. 5-FU 2. Imiquimod 3. Itraconazole 4. Azathioprine 5. Vismodegib
1. 1, 2 and 5
2. 1, 3 and 5
3. 2, 3, and 4
4. All of the above

Correct answer: 1. 1, 2 and 5

Explanation: This is a case of basal cell carcinoma. Basal cell carcinoma occurs mostly on the face, head (scalp included), neck, and hands. BCC usually appears as a flat, firm, pale area that is small, raised, pink or red, translucent, shiny, and waxy, and the area may bleed following minor injury. BCCs may have one or more visible and irregular blood vessels, an ulcerative area in the center that often is pigmented, and black-blue or brown areas. Large BCCs may have oozing or crusted areas. The lesion grows slowly, is not painful, and does not itch. HPE image shows Nodular aggregates of basalioma cells which are present in the dermis and exhibit peripheral palisading and retraction artifact. Drugs approved are: - 5-FU Imiquimod Vismodegib - Hedgehog pathway inhibitor